Function of M2 receptor in heart ?
1. SA node hyperpolarisation
2. AV node increased velocity of conduction
3. Increased contractility of ventricles
4. Increased Ach release from cholinergic nerve endings

Correct answer: 1. SA node hyperpolarisation

Explanation: Ans. is 'a' i.e., SA node hyperpolarization